Lithium is used in prophylaxis of
1. Recurrent phobia
2. Alcohol dependence
3. Paranoid Schizophrenia
4. Recurrent manic depressive attacks

Correct answer: 4. Recurrent manic depressive attacks

Explanation: Ans. is 'd' Recurrent manic depressive attacks Lithium is used in prophylaxis of manic depressive illness.